Pyrimidine metabolism end product -
1. Urea
2. Uric acid
3. Beta alanine
4. Allantoin

Correct answer: 3. Beta alanine

Explanation: Ans. is 'c' i.e., Beta alanine o Unlike the purine which are degraded to sparingly soluble product, uric acid, the end products of pyrimidine catabolism are highly water soluble : CO2, NH3, b- alanine and b- aminoisobutyrate.o Pseudouridine is excreted unchanged as it cannot be catabolized in human. Humans have no enzyme that can catabolize pseudouridine derived from degradation of t-RNA.